Vitreous humor is preserved in suspected poisoning with:
1. Carbon monoxide
2. Anthrax
3. Alcohol
4. Morphine

Correct answer: 3. Alcohol

Explanation: Ans. Alcohol